Which of the following is a Water-soluble Vitamin?
1. Folic acid
2. Vitamin A
3. Vitamin K
4. Linolenic acid

Correct answer: 1. Folic acid

Explanation: The four vitamins, namely vitamin A, D, E, and K are known as fat or lipid soluble. water soluble vitamins thiamine, riboflavin, niacin, pyridoxine, pantothenic acid, biotin, folic acid, Vit B12, ascorbic acid ref DM vasudevan 8th ed page 466